Factors that inhibit wound healing are all except
1. Hypoxia
2. Hyperthermia
3. Hyperglycemia
4. Infection

Correct answer: 2. Hyperthermia

Explanation: Hypothermia inhibits wound healing not hyperthermia.